Beta blocker with a-blocker capacity is ?
1. Atenolol
2. Labetelol
3. Propanolol
4. Metoprolol

Correct answer: 2. Labetelol

Explanation: Ans. is 'b' i.e., Labetelol Combined alpha & beta blockers o Carvedilol o Bucindolol o Nipradilol o Medroxalol o Labetalol o Bevantolol o Dilevalol